You are the causality medical officer (CMO) and a disoriented person is brought to you by relatives. On examination there is smell of alcohol in his breath. There is also a wound on his head. Which of the following feature is more suggestive of drunkenness rather than concussion?
1. Feeble slow pulse
2. Unequal pupils
3. Retrograde amnesia not relieved by time
4. Warm flushed face

Correct answer: 4. Warm flushed face

Explanation: Some of the features suggestive of drunkenness in this scenario are warm flushed face, fast bounding pulse, uncooperative and abusive behaviour, frequent eructations, pupils which dilate on external stimuli and then contracts etc. Rest of the options mentioned are more in favour of concussion. Ref: The Essentials of Forensic Medicine and Toxicology by Narayana Reddy, Edition 21, Page 212